Restrictive and constrictive pericarditis occurs together in
1. Radiation
2. Adriamycin
3. Amyloidosis
4. Post cardiotomy syndrome

Correct answer: 1. Radiation

Explanation: Ans. is 'a' i.e., Radiation